In which of the following patient, there is 10-20 fold increased risk of leukemia during infancy?
1. Pierre Robin syndrome
2. Fragile X syndrome
3. Down syndrome
4. None

Correct answer: 3. Down syndrome

Explanation: Children suffering from Down Syndrome

These children (10%) are mentally retarded moderate to severe and require appropriate treatment.
Incidence of cardiac disease associated with Down syndrome is 40% and will require adequate prophylaxis.
Increased incidence of leukemia and acute and chronic infections of the upper respiratory tract can also alter treatment.
Children are generally affectionate and cooperative and present no special problems during management.
Nitrous oxide analgesia or TSD in mildly apprehensive patients can be used; general anesthesia in severe resistance to dental treatment.
Preventive procedures along with chlorhexidine mouthwash may be beneficial.
Pulp treatment in deciduous teeth are contraindicated in patients with cardiac problems because of the risk of bacteremia, whereas in permanent teeth, it can be considered if an adequate apical seal can be obtained.

Key Concept

Increased incidence of leukemia and acute and chronic infections of the upper respiratory tract can also alter treatment.
There are 10-20 times increased risk of leukemia in infants suffering from Down syndrome.

​Pediatric Dentistry / Shobha Tandon - 2nd Ed  P: 541